The posterior urethra is best visualized by ?
1. Static cystogram
2. Retrograde urethrogram
3. Voiding cystogram
4. CT cystogram

Correct answer: 3. Voiding cystogram

Explanation: Voiding cystourethrography is the best method to visualize posterior urethra. Remember, Urethra can be imaged radiographically in two ways. Anterograde techniques --> Best for visualization of posterior urethra. (This is done along with voiding cystourethrography or with voiding following excretory urography) Retrograde technique --> Best for examining the anterior (penile) urethra (Contrast is injected through tip of urethra). Ref: Sabiston 20th Ed. ; Schwartz 11th Ed.